Increase in alpha-fetoprotein is seen in
1. Hepatoblastoma
2. Neuroblastoma
3. Thymoma
4. Angiosarcoma

Correct answer: 1. Hepatoblastoma

Explanation: Ans. is 'a' i.e Hepatoblastoma Hepatoblastoma is a malignant liver tumour of infancy that is typically associated with very high serum AFP level" - Harrison, 15/e, p590Other carcinomas in which alpha feto protein is elevated is*Hepatocellular Carcinoma*Some Germ cell Neoplasia*Non neoplastic conditions in which alpha Fetoprotein is increased*Cirrhosis*Hepatitis*